Which of the following test is an example of tube agglutination test:
1. Blood grouping
2. Vibrio cholera serotyping
3. Widal test
4. ANA

Correct answer: 3. Widal test

Explanation: Ref: Microbiology by Ananthanarayan and Paniker, 8th ed. pg. 108AGGLUTINATION TEST* It is a blood test used to identify unknown antigens.* Blood with the unknown antigen is mixed with a known antibody and whether or not agglutination occurs helps to identify the antigen.* Flaming: in this method the articles should be sterilized on the hot flame of Bunsen burner.* Hot air oven: It is also called dry heat sterilizer.Note: The articles should be sterilized at the temperature 160degC for 2 hours or 150-170degC for 1 hour.# Glass ware like test tube, pipette, flask and glass syringes, fixed oil glycerin, liquid paraffin, propylene glycol and zinc oxide etc. can be sterilized by this method.* Auto clave: this type of sterilization is done by steam heat under pressure.Use: Glass ware, surgical dressing, rubber, gloves, surgical instrument are sterilized by this method.